If a crack occurs in epoxy composite, some microcapsules rupture near the crack and releases dicyclopentadiene which subsequently fills the crack, this type of material is known as:
1. Self-healing material.
2. Self-assembling material.
3. Smart materials.
4. Bioactive materials.

Correct answer: 1. Self-healing material.

Explanation: It is an automatically initiated response to damage .